Which hepatitis causes more morbidity in pregnant female?
1. Hep A
2. Hep B
3. Hep C
4. Hep E

Correct answer: 4. Hep E

Explanation: Ans. (d) Hep E(Ref: Robbins 9th/pg 835; 8th/pg 849)A characteristic feature of HEV infection is the high mortality rate among pregnant women, approaching 20%